Liquefactive necrosis is seen in:
1. Heart
2. Brain
3. Lungs
4. Spleen

Correct answer: 2. Brain

Explanation: Brain is most common organ to go into liquifactive necrosis due to more amount of soft tissue. REF: ROBBINS pathology 10th edition